The dose of betamethasone for fetal lung maturation is
1. Two doses of 6mg, IM 24hours apart
2. Two doses of 12mg, IM 24hours apart
3. Four doses of 6mg, IM, 12hours apart
4. Four doses of 12mg, IM, 12hours apart

Correct answer: 2. Two doses of 12mg, IM 24hours apart

Explanation: A single course of corticosteroids is currently recommended for women between 24 to 34 weeks who are at risk for delivery within 7days. Betamethasone and dexamethasone appear to be equivalent for fetal lung maturation. Dose: 12mg doses of betamethasone, each dose is given intramuscularly 24hours apart. With dexamethasone, 6mg doses are given intramuscularly every 12hours for four doses. (Ref: William's Obstetrics; 25th edition)